Platelets contain
1. Both mitochondria and nucleus
2. Both mitochondria and lysozymes
3. Both nucleus and lysozymes
4. Only mitochondria

Correct answer: 2. Both mitochondria and lysozymes

Explanation: Platelets Contain Mitochondria But Lack a NucleusIn response to thrombopoietin, the megakaryocytes that constitute the progenitors of red blood cells can fragment to form platelets.Like red blood cells, platelets lack a nucleus, but unlike erythrocytes, they possess mitochondria, lysozymes, and a tubular network that forms an open canalicular system.Ref: Harper's Biochemistry; 30th edition; Chapter 53; Red Blood Cells